Myasthenia gravis is an autoimmune disorder and antibodies against which of the following can cause the disease?
1. Acetylcholine receptors (AchR)
2. Muscle specific kinase protein( MUSK)
3. Lowdensity lipoprotein receptor related protein 4 (LRP4)
4. All of the above

Correct answer: 4. All of the above

Explanation: MG is an autoimmune disorder most commonly caused by anti- AChR antibodies. The anti-AChR antibodies reduce the number of available AChRs. An immune response to muscle-specific kinase (MuSK), a protein involved in AChR clustering at the NMJ, can also result in MG, with reduction of AChRs demonstrated experimentally. Anti-MuSK antibody occurs in about 10% of patients (about 40% of AChR antibody negative patients), while 1-3% have antibodies to another protein at the NMJ--low-density lipoprotein receptor-related protein 4 (LRP4)--that is also important for clustering of AChRs. The pathogenic antibodies are IgG and are T cell dependent. Ref harrison 20th edition page 3232